All are principles of ethics, except
1. Do not harm
2. Respect the persons autonomy and informed consent
3. Confidentiality, veracity or truthfulness
4. Non-beneficence

Correct answer: 4. Non-beneficence